Superior rectal vein opens into-
1. Inferior mesenteric vein
2. Superior mesenteric vein
3. Internal iliac vein
4. Circumflex iliac vein

Correct answer: 1. Inferior mesenteric vein

Explanation: Ans. is 'a' i.e., Inferior mesenteric vein 'Superior rectal vein drains into the inferior mesenteric vein and hence into the portal circulation'Blood supply of rectum* Major arterial supply of rectum is through superior rectal artery (inferior continuation of inferior mesenteric artery). Other arterial supply of rectum includes middle rectal arteries (branch of anterior division of internal iliac artery) and median sacral artery (branch of the aorta).s* Venous drainage is through superior rectal vein (drains into inferior mesenteric vein), middle rectal vein (drains into internal iliac vein) and median sacral vein (joins left common iliac vein).